All of the following are associated with pathogenesis of acute hydrops fetalis except:
1. Hypoproteinemia
2. Anemia
3. Hypoplasia of placental tissue
4. Metabolic acidosis

Correct answer: 3. Hypoplasia of placental tissue

Explanation: Ans. C: Hypoplasia of Placental Tissue Several hypotheses regarding the pathophysiologic events that lead to fetal hydrops have been suggested. The basic mechanism for the formation of fetal hydrops is an imbalance of interstitial fluid production and the lymphatic return. The fetus is particularly susceptible to interstitial fluid accumulation because of its greater capillary permeability, compliant interstitial compartments, and vulnerability to venous pressure on lymphatic return. In Rh hemolytic disease, there is excessive destruction of RBC's leading to anemia, tissue anoxemia and metabolic acidosis. There is hyperplasia of placental tissue in an effort to increase the transfer of oxygen. As a result of anoxemai there is damage to liver resulting in hypoproteinemia. Fluid accumulation in the fetus can result from congestive heart failure, obstructed lymphatic flow, or decreased plasma osmotic pressure.